Neuroparalytic keratitis is due to which cranial nerve?
1. 3rd nerve
2. 5th
3. 6th
4. 7th

Correct answer: 2. 5th

Explanation: 5th nerve REF: Khurana 4th ed p. 107 "Neuroparalytic keratitis is due to paralysis of sensory supply to cornea which is by trigeminal nerve')